16-year-old female presents with primary amen-orrhoea with B/L inguinal hernia. She has normal sexual development with no pubic hair. USG shows no uterus and ovaries and a blind vagina.Diagnosis is:
1. Turner's syndrome
2. Mullerian agenesis
3. STAR syndrome
4. Androgen insensitivity syndrome

Correct answer: 4. Androgen insensitivity syndrome